Which of the following is uncommon symptom of deficiency of vitamin A:
1. Night blindness
2. Xerophthalmia
3. Keratomalacia
4. Polyneuropathy

Correct answer: 4. Polyneuropathy

Explanation: Ans. D: Polyneuropathy The most common cause of blindness in developing countries is vitamin A deficiency (VAD). Vitamin A is required for vision, maintenance of integrity of epithelial linings, growth and immunity. Deficiency leads to night blindness, dryness of the conjunctiva and cornea and finally liquefactive necrosis (keratomalacia) and ulceration of the cornea.